Tip of spine of Sphenoid is related to
1. Auriculotemporal nerve
2. Posterior fibres of Tensor veli palatini
3. Auditory tube
4. Sphenomandibular ligament

Correct answer: 4. Sphenomandibular ligament

Explanation: The spine of the sphenoid is related laterally to the auriculotemporal nerve, and medially to the chorda tympani nerve and auditory tube. Its tip provides attachment to the sphenomandibular ligament. Its anterior aspect gives origin to the most posterior fibers of the tensor veli palatini muscleReference: Chourasia; 6th edition; 18th page